Microbes with Et, Eh and EP strains:
1. E. coli
2. Mycobacterium
3. Shigella
4. Neisseria

Correct answer: 1. E. coli

Explanation: Ans. is (a) E. coli